The lateral medullary syndrome is most commonly due to the involvement of?
1. Posterior inferior cerebellar artery
2. Anterior inferior cerebellar artery
3. Basilar artery
4. Vertebral artery

Correct answer: 4. Vertebral artery

Explanation: ANSWER: (D) Vertebral artery REF: Harrisons Internal Medicine 17th ed Chapter 364. Cerebrovascular Diseases, Brainstem disorders by Peter P Urban, Louis R Caplan page 205-207. 1. Most commonly due to involvement of=Vertebral artery 2.Specific artery involved =Posterior inferior cerebellar artery Embolic occlusion or thrombosis of a V4 segment causes ischemia of the lateral medulla. The constellation of vertigo, numbness of the ipsilateral face and contralateral limbs, diplopia, hoarseness, dysarthria, dysphagia, and ipsilateral Homer's syndrome is called the lateral medullary (or Wallenberg's) syndrome. Most cases result from ipsilateral vertebral artery occlusion; in the remainder, PICA occlusion is responsible. Note: Although lateral medullary syndrome is also known as "Posterior inferior cerebellar artery syndrome, vertebral artery is most commonly involved.